A 6-month old child presents with port wine stain, intellectual disability, and recurrent focal seizures. All are true about the condition except?
1. Optic nerve cupping
2. Tram track appearance on CT scan on skull
3. vagal nerve stimulation to control recurrent seizures
4. Strawberry Hemangioma

Correct answer: 4. Strawberry Hemangioma

Explanation: Diagnosis is Sturge Weber syndrome. Strawberry Hemangioma is not a/w Sturge Weber syndrome. Choice A is correct since due to the presence of glaucoma, cupping of optic disc is seen. Choice B is correct due to presence of intracranial calcification, which on CT SCAN skull produces a tram-track appearance Choice C is correct as refractory focal seizures in patient will require vagal nerve stimulation to control recurrent seizures. D/D of Sturge Weber syndrome: 1. Klippel-Trenaunay-Weber syndrome Port-wine stain on the extremities and face Hemi hypertrophy of soft and bony tissues. 2. Beckwith-Wiedemann syndrome Facial port-wine stain (PWS), Macroglossia, Omphalocele, Visceral hyperplasia. Severe hypoglycemia resulting from pancreatic islet-cell hyperplasia